Phenylketonuria is due to deficiency of -
1. Phenylalanine transaminase
2. Phenylalanine hydroxylase
3. Tyrosine transaminase
4. Tyrosine hydroxylase

Correct answer: 2. Phenylalanine hydroxylase

Explanation: Ans. is 'b' i.e., Phenylalanine hydroxylase o Repeat from previous session